Primordial prevention is done to prevent development of ?
1. Disease
2. Risk factors
3. Impairment
4. Disability

Correct answer: 2. Risk factors

Explanation: Ans. is 'b' i.e., Risk factors LEVELS OF PREVENTION There are four levels of prevention :? Primordial prevention Primary prevention Secondary prevention Tertiary prevention Primordial Level of Prevention: Is primary prevention (see below) in purest sense It is the prevention of the emergence or development of risk factors in countries or population groups in which they have not yet appeared Modes of Intervention: Individual Education Mass Education Primordial Level is Best level of prevention for Non-communicable diseases